All of the following are true about carcinoid tumors except:
1. Ileum is the commonest site in GIT
2. Commonest site for malignant carcinoid is distal ileum
3. Elevated urinary 5-HIAA is diagnostic of carcinoid syndrome
4. Commonest valvular disease in carcinoid syndrome is pulmonary stenosis

Correct answer: 4. Commonest valvular disease in carcinoid syndrome is pulmonary stenosis

Explanation: o Bronchus is the commonest site for carcinoids & in the GIT, ileum is the commonest siteo Ileum is the commonest site for malignant carcinoidso The commonest valvular lesion seen in carcinoids is tricuspid regurgitation